Lymphatic follicles are not seen in:-
1. Spleen
2. Lymph node
3. Thymus
4. Tonsil

Correct answer: 3. Thymus

Explanation: Lymph nodes: - Thymus: -thymus is a lobulated structure - It doesn't have any lymphatic follicles. - Thymus receives stem cells from the bone marrow, & it will train these stem cells as T - lymphocytes to mount cell mediated immunity.